Muscle causing supination of forearm ?
1. Biceps brachii
2. Brachioradialis
3. FDS
4. Anconeus

Correct answer: 1. Biceps brachii

Explanation: Ans. is 'a' i.e., Biceps brachii Movement Muscles causing movementPronation Pronator quadratus (strong pronator), Pronator teres (Rapid pronator).Supination Supinator (when elbow is extended), Biceps (when elbow is flexed